A primiparous D-negative (Rh-negative) mother has just delivered a D-positive child. Administration of which of the following substances would be indicated
1. Anti-D IgG to child
2. Anti-D IgG to mother
3. D-positive red cells to child
4. D-positive red cells to mother

Correct answer: 2. Anti-D IgG to mother

Explanation: - Administration of anti-D antiserum to D-negative mother within 72hrs of delivery of D-positive child prevents maternal alloimmunization by removing fetal red cells from the maternal circulation.